Complicated UTI includes:
1. UTI without underlying renal/neurologic disease
2. UTI with underlying structural, medical, neurologic disease
3. > 3 Symptomatic UTIs within 12 months following clinical therapy
4. Recurrent UTI caused by a different pathogen at any time

Correct answer: 2. UTI with underlying structural, medical, neurologic disease

Explanation: → Uncomplicated: UTI without underlying renal/neurologic disease. 
→ Complicated: UTI with underlying structural, medical, neurologic disease. 
→ Recurrent: >3 Symptomatic UTIs within 12 months following clinical therapy. 
→ Reinfection: Recurrent UTI caused by a different pathogen at any time. 
→ Relapse: Recurrent UTI caused by same species causing original UTI, within 2 weeks after therapy.